Nernst potential for K
1. 90
2. -90
3. 70
4. -70

Correct answer: 2. -90

Explanation: In case of K+, concentration gradient is outwards and electric gradient is inwards. The Nernst potential of K+ is -90mV.(Ref: Textbook of physiology 5th edition page no.33)